Which of the following is used for biometric evaluation?
1. Iris
2. Pupil
3. Lens
4. Cornea

Correct answer: 1. Iris

Explanation: * Each person's Iris has a unique pattern which is not changed from birth until death. The pattern is different even in identical twins. * Retinal scan is performed by casting an undetectable ray of low energy infrared light into a person's eye as he looks through scanner's eye piece, which outlines a circular path on the retina. The results of the scan is converted to computer code & stored in database. * Retina patterns may be altered in cataracts, glaucoma, retinal degeneration & diabetes.